Acid base based polyacrylic cements have most 
important property of
1. Bio adhesion
2. Reparative dentin formation
3. Bond strength
4. Severe irritant to pulp

Correct answer: 1. Bio adhesion